All are treatment of deep transverse arrest except :
1. Ventouse
2. Cesarean section
3. Manual rotation with outlet forceps
4. Craniotomy

Correct answer: 3. Manual rotation with outlet forceps

Explanation: Manual rotation with outlet forceps